Most common disease of human body is:
1. Gingivitis
2. Hypertension
3. Diabetes
4. Dental caries

Correct answer: 4. Dental caries

Explanation: Dental caries, the most common disease in the mouth, is also the most common disease of the entire body. The first step in treating this disease is to identify it, and radiology is one of the best tools available to do so.